All are true about breast milk jaundice except:
1. There is unconjugated hyperbilirubinemia
2. Some babies need treatment with phototherapy
3. Breast feeding is contraindicated
4. It is common in the second week of life

Correct answer: 3. Breast feeding is contraindicated

Explanation: Breast feeding is not contraindicated in breast milk jaundice. Mothers are advised to continue breastfeeding at frequent intervals Breastmilk jaundice is seen in about 2-4% of exclusively breastfed babies. There is significant unconjugated hyperbilirubinemia after the 7th day and may last for 2-3 weeks. This may be caused by the breast milk that might contain beta-glucoronidase, which deconjugates intestinal bilirubin and promotes its absorption and other inhibitors of glucuronyl transferase. Persistently high bilirubin levels may require changing from breast milk to infant formula for 24-48 hours and/or treatment with phototherapy, without cessation of breastfeeding. Ref: Ghai essentials Pediatrics 9th edition Pgno: 168